The 'heel effect' results
1. In low intensity X-ray beam on anode side of central ray
2. In high intensity beam of X-rays towards cathode
3. Both of them are true
4. None of the above are true

Correct answer: 3. Both of them are true